Which of the following is contraindicated in diabetics with Congestive heart failure
1. Empagliflozin
2. Metformin
3. Linagliptin
4. Pioglitazone

Correct answer: 4. Pioglitazone

Explanation: Thiazolidinediones are associated with weight gain (2-3 kg), a small reduction in the hematocrit, and a mild increase in plasma volume. Peripheral edema and CHF are more common in individuals treated with these agents. These agents are contraindicated in patients with liver disease or CHF (class III or IV). Ref Harrison 20th edi page no 2867